In retinal detachment:
1. Effusion of fluid into the suprachoroidal space
2. Retinoschisis
3. Separation of sensory retina from pigment epithelium
4. None of the above

Correct answer: 3. Separation of sensory retina from pigment epithelium

Explanation: Ans. Separation of sensory retina from pigment epithelium